Butonniere deformity occur due to -a) Flexion of Proximal interphalangeal jointb) Flexion at Distal interphalangeal jointc) Extension at Distal interphalangeal jointd) Extension at Metarcarpophalangeal jointe) Flexion at Metarcarpophalangeal joint
1. a
2. ac
3. ad
4. b

Correct answer: 2. ac